All of the folloiwng statements about meglitinides are true, except:
1. Act by stimulating insulin release
2. Decrease postprandial hyperglycemia
3. Hypoglycemia is less common than with sulfonylureas
4. Act by decreasing insulin resistance

Correct answer: 4. Act by decreasing insulin resistance

Explanation: Ans is 'd' i.e. Act by decreasing insulin resistance o Though structurally unrelated to sulfonylureas, the meglitinides class of hypoglycemic drugs (Repaglinide and Nateglinide) bind to same ATP dependent K channels as do sulfonylureas and stimulate insulin secretion by closing these channels in pancreatic 13-cells-insulin secretogogue action. o The meglintinides are incapable of stimultating insulin secretion in nutrient-starved fl-cells but in the presence of glucose, they demonstrate hypoglycemic effects by augmenting the release of insulin. Consequently, meglitinides seem relatively unlikely to cause fasting hypoglycemia. o For the same reason, meglitinides effectively reduce post pradndial hyperglycemia as they demonstrate hypoglycemic effects in the presence of glucose.